Which of the following is difficult to visualize or examine on Indirect Laryngoscopy?
1. True vocal cord
2. Anterior commissure
3. Epiglottis
4. False vocal cord

Correct answer: 2. Anterior commissure

Explanation: Hidden areas of larynx viz. infrahyoid epiglottis, anterior commissure, ventricles and subglottic region and apex of pyriform fossa are difficult to visualize by indirect laryngoscopy.